How many pairs of flagella does Giardia lamblia possess -
1. One
2. Two
3. Three
4. Four

Correct answer: 4. Four

Explanation: Ans. is 'd' i.e., Four Giardia (review)o Giardia is a flagellate protozoao It is the only common protozoa that inhabits the duodenum and jejunum (upper small intestine) of human.o Infective form - cysto Mode of transmission - Ingestion of cysto Giardia exists in two forms